A 26-year-old primigravida diagnosed with severe rheumatic heart disease (Mitral stenosis with mitral regurgitation) is in early labour. The obstetrician wants to try a normal labour. Which of the following is the best labour analgesia for this patient?
1. Parenteral opioids
2. Neuraxial analgesia
3. Inhalational anesthesia
4. Spinal anesthesia

Correct answer: 2. Neuraxial analgesia

Explanation: Ans- B Neuraxial analgesia Neuraxial analgesia reduces preload and afterload and reduces catecholamine surge and reduces heart rate. It also gives perineal analgesia and removes the urge to push.